Schizonts are not seen In peripheral smear in which type of malaria?
1. P, Vivax
2. P Falciparum
3. P. Ovale
4. P Malariae

Correct answer: 2. P Falciparum

Explanation: ANSWER: (B) P. FalciparumREF: Jawett's 24th edition table 46-2SOME CHARACTERISTIC FEATURES OF THE MALARIA PARASITES OF HUMANS(ROMANOWSKY-STAINED PREPARATIONS): P vivax(BenignTertian Malaria)P malariae(Quartan Malaria)P falciparum(MalignantTertian Malaria)P ovale(Ovale Malaria)Parasitized red cellsEnlarged, pale. Fine stippling(Schuffner's dots).Primarily invades reticulocytes, young red cells.Not enlarged. No stippling (except with special stains). Primarily invades older red cells.Not enlarged. Coarse stippling (Maurer's clefts). Invades all red cells regardless of age.Enlarged, pale. Schuffner's dots conspicuous. Cells often oval, fimbriated, or crenated.Level of usual maximum parasitemiaUp to 30,000/uL of blood.Fewer than 10,000/uL.May exceed 200,000/uL; commonly 50,000/uL.Fewer than 10,000/uL.Ring stage trophozoitesLarge rings (1/3-1/2 red cellLarge rings (1/3 red cell diameter).Small rings (1/5 red cell diameter). Often twoLarge rings (1/3 red cell diameter). diameter). Usually one chromatin granule; ring delicate.Usually one chromatin granule; ring thick.granules; multiple infections common; ring delicate, may adhere to red cells.Usually one chromatin granule; ring thick.Pigment in developing trophozoitesFine; light brown; scattered.Coarse; dark brown; scattered clumps; abundant.Coarse; black; few clumps.Coarse; darkyellow-brown;scattered.OldertrophozoitesVery pleomorphic.Occasional band forms.Compact and rounded.1Compact and rounded.MatureSchizonts(segmenters)More than 12 merozoites (14-24).Few^er than 12 large merozoites (6-12). Often in rosette.Usually more than 12 merozoites (8-32). Very rare in peripheral blood.1Fewer than 12 large merozoites (6-12). Often in rosette.Gametocytes Distribution in peripheralRound or oval.Round or oval.Crescentic.Round or oval.bloodAll forms.All forms.Only rings andcrescents(gametocytes).1All forms.1Ordinarily, only ring stages or gametocytes are seen in peripheral blood infected with P falciparum; post-ring stages make red cells sticky, and they tend to be retained in deep capillary beds except in overwhelming, usually fatal infections.